Anti streptolysin 0 test is diagnostic in -
1. Acute rheumatic fever
2. SLE
3. SBE
4. Rhematoid arthritis

Correct answer: 1. Acute rheumatic fever

Explanation: Ans. is 'a' i.e., Acute rheumatic fever . ASO titres higher than 200 are indicative of prior streptococcal infection. High levels are usually found in acute rheumatic fever.